Shock is clinically best assessed by:-
1. Urine output
2. CVP
3. BP
4. Hydration

Correct answer: 1. Urine output

Explanation: Shock is clinically best assessed by urine output. Ultimately, the goal of treatment is to restore cellular and organ perfusion. Ideally, therefore, monitoring of organ perfusion should guide the management of shock. The best measures of organ perfusion and the best monitor of the adequacy of shock therapy remains the urine output.